A 30-year-old man presented with this lesion on his right lower eyelid that had grown over 3 days. Two weeks before his presentation, a cyst had ruptured on the same eyelid. What is the diagnosis?
1. Squamous papilloma
2. Amelanotic melanoma
3. Squamous-cell carcinoma
4. Pyogenic granuloma

Correct answer: 4. Pyogenic granuloma

Explanation: Answer D. Pyogenic granulomaThe correct answer is pyogenic granuloma. This is a benign vascular lesion characterized by inflammatory cells and lobular capillary proliferation. Conjunctival pyogenic granulomas, which can develop on the conjunctiva and external surface of the eyelids, grow rapidly over days to weeks following conjunctival injury from surgery.